Tigered effect in tissues is due to accumulation of:
1. Calcium
2. Fat
3. Fibrin
4. Copper

Correct answer: 2. Fat

Explanation: Lipid is found in cardiac muscle in the form of small droplets, occurring in two patterns. In prolonged moderate hypoxia, intracellular deposits of fat, which create grossly apparent bands of yellowed myocardium alternating with bands of darker, red-brown, uninvolved myocardium (tigered effect) are found. The other pattern of fatty change is produced by more profound hypoxia or by some forms of myocarditis (e.g., diphtheria infection) and shows more uniformly affected myocytes. Ref: Robbins 8th edition, Chapter 1.